HSV 2 causes:
1. Genital herpes
2. Genital warts
3. Herpes zoster
4. Genital ulcer

Correct answer: 1. Genital herpes

Explanation: Ans: a (Genital herpes) Ref: Shaw, 13th ed, p. 113Heipes genitalis is caused by HSV type 2. It is the most common DNA viral infection encountered in vulval disease.Symptoms: Tingling, itching, paraesthesia - vesicles - painful ulcers.Treatment: AcyclovirNote:Genital warts (condyloma accuminata) caused by HPV 6,11.Heipes zoster is caused by varicella virus.